Why is sugar added to ORS?
1. Enhance acceptability
2. Enhance salt absorption
3. Enhance shelf life
4. Enhance taste

Correct answer: 2. Enhance salt absorption

Explanation: Ans. B Enhance salt absorptionRef: Ganong 25th ed. P 478In diarrhoea only salt is lost but sugar is added as it helps to absorb salt and sugar by process of symport. The transporter in the gut is SGLT-1.